Cleft lip repair is commonly performed at
1. 0-3 months
2. 3-6 months
3. 6-9 months
4. 9-12 months

Correct answer: 2. 3-6 months

Explanation: Cleft lip repair is commonly performed between 3 and 6 months of ageCleft palate repair is frequently performed between 6 and 18 monthsRef: Bailey and love pg: 692